Not a feature of systematic review
1. Meta analysis is always performed
2. Search for literature is compulsory using explicit search strategy
3. Critical appraisal is always criteria based
4. Research questions always focussed

Correct answer: 1. Meta analysis is always performed

Explanation: A systematic review answers a defined research question by collecting and summarising all empirical evidence that fits pre-specified eligibility criteria. A meta-analysis is the use of statistical methods to summarise the results of these studies.